All of the following drugs are bactericiadal except
1. Isoniazid
2. Tigecycline
3. Daptomycin
4. Ciprofloxacin

Correct answer: 2. Tigecycline

Explanation: Tigecycline is a newer drug in the class Glycylcyclines It's mechanism of action and most properties are similar to tetracycline. However it is resistant to reflux pump Most protein synthesis inhibiting drugs are bacteriostatic except aminoglycosides Isoniazid ,Ciprofloxacin, and daptomycin are bactericidal Ref KK Sharma 2/e p 733